A 3-year-old child presented with progressive anaemia, jaundice & failure to thrive. 0/E: Pallor, splenomegaly are seen. Peripheral smear showed normoblasts and small round intensely stained red cells. The likely diagnosis is
1. Hereditary spherocytosis
2. Thalassaemia
3. Sickle cell anaemia
4. Vitamin B12 deficiency anaemia

Correct answer: 1. Hereditary spherocytosis